Materials used for injection thyroplasty are ?
1. Collagen
2. Acellular miconized human dermis
3. Gelatin powder
4. All the above

Correct answer: 4. All the above

Explanation: Ans. is 'd' i.e., All the above Injection thyroplasty accomplishes medicalization of the immobile vocal cord by injecting the cord directly to close an identified glottis gap. Many materials are currently used for injection thyroplasty including fat, fascia, gelatin powder, collagen, and miconized acellular human dermis.